Rotavirus is detected by -
1. Antigen in stool
2. Antibody in serum
3. Deminstration of virus
4. Stool culture

Correct answer: 1. Antigen in stool

Explanation: rota virus is detected by antigen in stool by ELISA,CF REF:ANATHANARAYANAN MICROBIOLOGY NINTH EDITION PAGE.561